Syneresis refers to:
1. Liquefaction of the vitreous
2. Black spots in front of the eye
3. Collapse of the vitreous
4. Detachment of the vitreous

Correct answer: 3. Collapse of the vitreous

Explanation: Ans. Collapse of the vitreous